All of the following Statements are true about blackouts except:
1. The person appears confused to the onlookers
2. Remote memory is relatively intact during the blackout
3. It is a discrete episode of anterograde amnesia
4. It is associated with alcohol intoxication

Correct answer: 1. The person appears confused to the onlookers

Explanation: Ans. a. The person appears confused to the onlookers (Ref: Kaplan and Sadock 9/e pe p400)In blackouts, because the other intellectual faculties are best preserved, the persons appear normal to casual observers. The person doesn' t appear to be confused.Blackouts:Because the other intellectual faculties are best preserved, the persons appear normal to casual observersQ.The remote memory is intactQ.It causes anterograde amnesiaQ.It is seen with alcohol intoxicationQ when blood alcohol levels are 200-300 mg/DLA blackout is defined as amnesia experienced by alcoholics during drinking boutsQIt usually indicates reversible brain damagQ.It is seen with alcohol intoxicationQ when blood alcohol levels are 200-300 mg/dL.It causes anterograde amnesiaQ.The remote memory is intactQ.Because the other intellectual faculties are best preserved, the persons appear normal to casual observersQ.